Not characteristics of poisonous snake:
1. Small scales on head
2. Large scales on belly & cover entire breadth
3. Short & solid fangs
4. Compressed tail

Correct answer: 3. Short & solid fangs

Explanation: Ans: c. Short...TraitPoisonous snakeNon-poisonous snake1. HeadA- small (vipers)Large with the exceptions asscalesB- large &mentioned, under the poisonous snakes (a) (if there is an opening or pit b/w the eye & nostril (pit viper) (b) third labial touches the eye & nasal shields (cobra or coral snake) (c) No pits & third labial does not touch the nose & eye & central row of scales onback enlarged; undersurface of the mouth has only four infralabials, the fourth being the largest (kraits) 2. BellyLarge & cover entire breadthSmall like these on the back orscales moderately large, but do not cover the entire breadth3. FangsHollow like hypodermic needlesShort & solid4. TeethTwo long fangsSeveral small teeth5. TailCompressedNot much compressed6. HabitsUsually nocturnalNot sort